A 16 Yr old presented to the clinic with recurrent joint pains,dark spots in sclera,blackening of urine on standing.What is the most probable diagnosis?
1. Alkaptonuria
2. Tyrosinemia
3. Phenylketonuria
4. All of the above

Correct answer: 1. Alkaptonuria

Explanation: Reference: Harpers illustrated biochemistry 30th edition